Polysulfide material is routinely not recommended because of:
1. Unpleasant odor and taste
2. Low accuracy
3. Least permanent deformation
4. Highest curing shrinkage

Correct answer: 1. Unpleasant odor and taste